All of the following are autoimmune diseases, EXCEPT:
1. SLE
2. Grave's disease
3. Myaesthenia gravis
4. Sickle Cell Disease

Correct answer: 4. Sickle Cell Disease

Explanation: Sickle cell diease is not an autoimmune disease. Sickle Cell Disease is a structural hemoglobinopathy caused by a mutation in the f3-globin gene that changes the sixth ammoacid from glutamic acid to valine (HBS a2 B2 6Glu?Val), The mode of inheritance is autosomal recessive. Ref: Harrison 16th Edition, Page 678 ; Robbins Pathologic basis of disease 6th Edition, Page 611.